A girl with acute promyelocytic leukemia was admitted for management. While on treatment she developed tachypnea, fever and pulmonary infiltrates. What should be done for the treatment of this problem?
1. Dexamethasone
2. Cytarabine
3. Doxorubicin
4. Methotrexate

Correct answer: 1. Dexamethasone

Explanation: Ans. (A) Dexamethasone(Ref: Harrison 19/e p1686-87)The features given are known as APL differentiation syndrome which can occur while treatment with tretinoin. The treatment is with steroids.